Eligible couple register is maintained at
1. Sub center
2. PHC
3. District hospital
4. Community Hospital

Correct answer: 1. Sub center